All of the following are used for treatment of hyperkalemia except-
1. Calcium gluconate
2. Sodium bicarbonate
3. Intravenous infusion of glucose with insulin
4. Beta blockers

Correct answer: 4. Beta blockers

Explanation: Treatment of hyperkalemia is done in three steps: 1. Immediate antagonism of the cardiac effects of hyperkalemia. -Intravenous calcium serves to protect the Heart( calcium gluconate) 2. Rapid reduction in plasma K+ concentration by redistribution into cells : * Insulin lowers plasma K+ concentration by shifting K+ into cells. The recommended dose is 10 units of intravenous regular insulin followed immediately by 50 mL of 50% dextrose *b2-agonists - most commonly albuterol, are effective but underused agents for the acute management of hyperkalemia *Intravenous bicarbonate has no role in the acute treatment of hyperkalemia, but may slowly attenuate hyperkalemia with sustained administration over several hours. 3.Removal of potassium. This is typically accomplished using cation exchange resins, diuretics, and/or dialysis (Ref: Harrison textbook of internal medicine,19E, pg- 312)